Nerves in Plexus of Raschkow
1. 1 nerve gives 8 branches
2. 1 nerve give 20 branches
3. 1 nerve gives 2 branches
4. 1 nerve gives 15 branches

Correct answer: 1. 1 nerve gives 8 branches